Under ESI, the duration of sickness benefit arising out of confinement is for -
1. 15 days
2. 30 days
3. 42 days
4. 60 days

Correct answer: 2. 30 days

Explanation: - the ESI act passed in 1948 is an important measure of social security and health insurance in the country. - it provides for certain cash and medical benefits to industrial employees in case of sickness, maternity and employment injury. - maternity benefit is payable cash to an insured woman for confinement/ miscarriage or sicknesses arising out of confinement. -the duration of benefit for sickness arising out of confinement is 30 days. Reference : Park's textbook of preventive and social medicine, 23rd edition, pg no: 815,817